Stimulation of which receptor will release renin:
1. Alpha 1
2. Alpha 2
3. Beta 1
4. Beta 2

Correct answer: 3. Beta 1